Red velvety appearance of stomach and crimson plus of lower esophagus seen in which poisoning
1. Mercury
2. Zinc
3. Lead
4. Arsenic

Correct answer: 4. Arsenic

Explanation: Internal findings There may be lines of redness running along the walls and sub-mucous hemorrhages. stomach mucosa shows red velvety appearance. There may be ulceration in the pyloric region. Mucous membrane of the lower end of esophagus shows congestion and inflammation called crimson plus. Ref: FORENSIC MEDICINE AND TOXICOLOGY Dr PC IGNATIUS THIRD EDITION PAGE 421